All of the following are clinical features of Cushing's syndrome except :
1. Insulin resistance
2. Menorrhagia
3. Violaceous striae
4. Centripetal obesity

Correct answer: 2. Menorrhagia

Explanation: Answer is B (Menorrhagia): Cushing syndrome is associated with amenorrhea or oligomenorrhea and not with menorrhagia. `In women increased levels of adrenal androgens can cause oligommorrhea or amenorrhea' Hypokalemia / hypochloremia and metabolic alkalosis are particularly present with ectopic ACTH production. 24.